ARM is contraindicated :
1. In pregnancy beyond 40 weeks
2. When the mother is Rh -ve
3. When the mother is diabetic
4. When the fetus is dead

Correct answer: 4. When the fetus is dead

Explanation: When the fetus is dead